Autopsy is known by all names except ?
1. Obduction
2. Necropsy
3. Biopsy
4. Postmortem examination

Correct answer: 3. Biopsy

Explanation: Ans. is 'c' i.e., Biopsy An autopsy (also known as a post-mortem examination, obduction, necropsy, or autopsia cadaverum) is a highly specialized surgical procedure that consists of a thorough examination of a corpse by dissection to determine the cause and manner of death and to evaluate any disease or injury that may be present.